Joint at the knee is which type of joint -
1. Synarthrosis
2. Symphysis
3. Amphiarthrosis
4. Diarthrosis

Correct answer: 4. Diarthrosis

Explanation: The knee joint is a condylar type of synovial joint.
All synovial joints are diarthrosis.


Synarthrosis (immovable) → Fibrous joints
Amphiarthrosis (slight mobility) → Cartilaginous joint
Diarthrosis (highly mobile) → Synovial joints